The activity of which of the following enzymes is increased in Diabetes Mellitus?
1. CPT-1
2. Phosphoenol Pyruvate carboxykinase (PEPCK)
3. Glucose-6-Phosphatase
4. All

Correct answer: 4. All

Explanation: Diabetic situation is same like fasting or starvation i.e. catabolic situation in the body. So, in Diabetes Mellitus, the activity of Catabolic enzymes is increased. Carnitine Palmitoyl Transferase-I (CPT-I) is an enzyme of b-Oxidation which is a Catabolic pathway. Therefore, it is increased in Diabetes. Option b & c - Phosphoenol Pyruvate Carboxykinase (PEPCK) and Glucose -6-Phosphatase are enzymes of Gluconeogenesis which is a Catabolic pathway and hence increased in Diabetes. So, answer is all.